Not true about sudden infant death syndrome –
1. Occurs in male child
2. Allergy to animal milk
3. Seen in premature babies
4. Cause is prolonged breast feeding

Correct answer: 4. Cause is prolonged breast feeding

Explanation: Sudden infant death syndrome (SIDs)

SIDS is defined as the sudden death of an infant that is unexpected by history and unexplained by a thorough postmortem examination.
Most cases of are between 1 month to I year.
Incidence is higher in the winter months.

Risk factors for SIDS

Maternal and antenatal
Smoking and alcohol use
Younger age (< 20 years)
Low educational status
Single marital status
IUGR & intrauterine hypoxia
Shorter interpregnancy interval
Low socioeconomic status
Infant risk factors
Age (peak 2-4 months)
Male gender
Prematurity
Side or prone sleep position
Recent febrile illness
Soft sleeping surface (bed)
Cold season

Suspected causes of SIDS 

Airway obstruction and laryngeal spasm.
Infection such as Clostridium botulinum.
Anaphylactic shock due to cow's milk allergy.
Chronic hypoxia due to prolonged apneic episode.